Emergence Delirium is characteristic of ?
1. Midazolam
2. Ketamine
3. Thiopentone
4. Opioids

Correct answer: 2. Ketamine

Explanation: Ans. is 'b' i.e., Ketamine o Ketamine produces emergence reaction during awakening from anaesthesia --> vivid dreaming, illusions, extracorporeal experiences, excitment, confusion, fear and euphoria --> contraindicated in psychiatric illness like schizophrenia.